License to blood bank is given by –
1. Drugs controller general of India
2. Director general of health services
3. Director general, Indian council of medical research
4. Director general of blood bank services

Correct answer: 1. Drugs controller general of India

Explanation: o License from food and drugs control administration (FDA) is a must for operating blood bank.
o The drugs controller General (India) is the central License approving authority.
o On the other hand, regulatory control remains under the dual authority of the state and the central Government.